Which of the following is a K+ channel opener?
1. Ranolazine
2. Nicorandil
3. Verapamil
4. Lignocaine

Correct answer: 2. Nicorandil

Explanation: NICORANDIL:- K+ channel opener NO releaser Given for Angina Drug activates ATP sensitive K+ channels --> Hyperpolarizing vascular smooth muscle. Nicorandil is believed to exert cardioprotective action by simulating 'ischaemic preconditioning' as a result of activation of mitochondrial K-ATP channels. Ranolazine - Inhibits late phase of sodium current (Late I Na) improving oxygen supply and demand equation. It has antianginal as well as antiarrhythmic properties. Verapamil :- calcium channel blocker, slows AV conduction directly and decrease HR, contractility, BP and oxygen demand. Lidocaine : class IB antiarrhythmic drug, shortens phase 3 repolarization and decrease the duration of action